Which of the following can cause lactic acidosis ?
1. Biguanides
2. Glibenclamide
3. Tolbutamide
4. Chlorpropamide

Correct answer: 1. Biguanides